In a case of ovarian tumor revealed unilateral ovarian tumor with ascites positive for malignant cells. Laparotomy is performed. All other structures were free of disease. Stage of her disease is:
1. Stage I c
2. Stage III a
3. Stage III b
4. Stage III c

Correct answer: 1. Stage I c

Explanation: Ans. A. Stage I cThe patient falls under FIGO staging, stage Ic because it has ovarian tumor with ascites positive for malignant cells.